Anterior bowing of the posterior maxillary wall is described as -
1. Holman miller sign
2. Hennebert sign
3. Holsky sign
4. Honeybell sign

Correct answer: 1. Holman miller sign

Explanation: Ans. is 'a' i.e., Holman miller sign o Anterior bowdng of the posterior wall of maxillary sinus (antral sign or Holman-Miller sign) is pathgnomic of Juvenile Nasopharyngeal Angiofibroma.